All of the following are examples of fibrous joint except:
1. Symphysis
2. Gomphosis
3. Sutural
4. Syndesmosis

Correct answer: 1. Symphysis